Pulmonary artery pressure is-
1. 120/80 mm Hg
2. 25/0 mm Hg
3. 25/8 mm Hg
4. 120/0 mm Hg

Correct answer: 3. 25/8 mm Hg

Explanation: Ans. is 'c' i.e., 25/8 mm Hg Pressures in various portions of CVSo Right ventricle-25/0 mm Hg (systolic/diastolic)o Left ventricle-120/0 mm Hgo Right atrium-2 mm Hgo Left atrium-5mmHgo Aorta-120/80 mm Hgo Pulmonary artery-25/8 mm Hg